True about presence of bacteria in female reproductive tract is all except
1. Anaerobes predominate and outnumber aerobic species.
2. Upper reproductive tract is sterile.
3. Function of vaginal bacterial colonization is unknown.
4. Presence of bacteria does not indicate active infection.

Correct answer: 2. Upper reproductive tract is sterile.

Explanation: Female upper reproductive tract is not sterile.